Chest X-ray showing opacity in the lung with irregular calcification is suggestive of –
1. Lung carcinoma
2. Hamartoma
3. Hydatid cyst
4. Adenoma

Correct answer: 2. Hamartoma

Explanation: Irregular central calcification is characteristic of hamartoma.